Metachromatic granules are seen in?
1. Cornybacterium
2. E.coli
3. Yersinia
4. Pseudomonas

Correct answer: 1. Cornybacterium

Explanation: ANSWER: (A) corynebacteriumREF: Ananthnarayan 8th edition page 238Metachromatic granules are inclusion bodies in bacterial cells that alter the colour of particular stains. Methylene blue stains metachromatic granules pink; not blue. In corynebacteria, the metachromatic granules are composed of polyphosphates and act as energy storage sites.Features of corynebacterium:Gram-positive, catalase positive, non-spore-forming, non-motile, rod-shaped bacteria that is straight or slightly curved.The bacteria group together in a characteristic way, wThich has been described as the form of a "V", "palisades", or "Chinese lettersThey may also appear elliptical. They are aerobic or facultatively anaerobic, chemoorganotrophs, with a 51-65% genomic G:C contentGranules known as babes emst or volutin granules composed of polymetaphosphate are seenSelective media: cysteine-tellurite blood agar or tinsdale medium rapid growth: loeffler's serum slope